Rejecting a null hypothesis when it is true is called as?
1. Type 1 error
2. Type 2 error
3. Type 3 error
4. Type 4 error

Correct answer: 1. Type 1 error